Visceral larva migrans is associated with -
1. Strongyloids stereoalis
2. Ankylostoma brazilenses
3. Toxocara canis
4. Visceral leishmaniasis

Correct answer: 3. Toxocara canis

Explanation: Visceral larva migrans is a condition caused by ingestion of embryonated eggs of some nematodes parasitising animals such as toxocara canis (dog round worm)T.cati.Larvae are hatched out in the small intestine and are carried out to extraintestinal sites such as liver ,lungs and other organs (refer pgno:142 baveja 3 rd edition)